All results from Sympathetic nervous stimulation, except:
1. Vasodilation of cutaneous blood vessel
2. Bronchodilatation
3. Dilator pupillae contraction
4. Renin secretion

Correct answer: 1. Vasodilation of cutaneous blood vessel

Explanation: Ref: Pal GK. Sympathetic system. In: Textbook of medical physiology. 2nd ed. Ahitja publishing house. 2011: 22: 213.Explanation: (See the following table)Effect of Sympathetic and Parasympathetic Stimulation on Various Organs SympatheticParasympatheticEyes Sphincter muscle of iris--Contraction (miosis)Radial muscle of irisContraction (mydriasis) a1--Ciliary muscleRelaxation b2Contraction for near visionMuller s muscleContraction a1 Lacrimal gland--Increase secretionHeart SA nodeIncreases heart rate b12Decreases heart rateAV node & PurkinjeIncreases conduction velocityDecreases conduction velocityAtna & ventricleIncreases contractility b12Decreases contractilityArterioles Coronary, PulmonaryConstriction (a1,2) Dilation (b2)--SkinConstriction (a1,2)--Skeletal muscleDilation (b2) Constriction (a1)--Abd. visceraConstriction (a1.)--RenalConstriction (a1,)--Systemic veinsConstriction (a1,2)--LungsDilation (b2) BronchiolesDilation (b2)ConstrictionGlandsSecretion (b2); inhibitted by al GIT Salivary glandThick, viscous secretion (a1)Profuse, watery secretionMotility and ToneDecrease (a1,2 and b2)IncreaseSphincterConstriction (a1)RelaxationSecretionInhibition (a2)StimulationLiverGlycogenolysis (a1, b2)--Gall-biadderRelaxation b2ContractionUrinary system Detrusor muscleRelaxation b2ContractionSphincterConstriction (a1)RelaxationMale sex organsEjaculation (a1)ErectionUterusContraction (pregnant) (a1)VariableSkinRelaxation (b2) Pilomotor musclesContraction (al)--Sweat glandsSlight, localized secretion (a1)Generalized abundant, dilute secretion (M)--Adipose tissueLipolysis (a1, b1,3) Pineal glandMelatonin secretion (b)--JG cellsRenin secretion (b2)--